Which is the nerve root of Biceps jerk?
1. C5-C6
2. C6-C8
3. C7-C8
4. C8-T1

Correct answer: 1. C5-C6

Explanation: Ans. A C5-C6Ref: Gray's Anatomy, 41st ed. pg. 792* Biceps jerk (C5, 6) The elbow is flexed to a right angle and slightly pronated. A finger is placed on the biceps tendon and struck with a percussion hammer; this should elicit flexion and slight supination of the forearm.Extra Mile* Triceps jerk (C6-8) The arm is supported at the wrist and flexed to a right angle. Triceps tendon is struck with a percussion hammer just proximal to the olecranon; this should elicit extension of the elbow.* Radial jerk (C7, 8) The radial jerk is a periosteal, not a tendon reflex. The elbow is flexed to a right angle and the forearm placed in the mid pronation/supination position. The radial styloid is struck with the percussion hammer. This elicits contraction of brachioradialis, which causes flexion of the elbow